In all of the following sympathectomy is effective except
1. Intermittent claudication
2. Hyperhydrosis
3. Raynaud's disease
4. Causalgia

Correct answer: 1. Intermittent claudication